Central obesity is seen in;
1. Cushing's disease
2. Chron's disease
3. Conns disease
4. Celiac disease

Correct answer: 1. Cushing's disease

Explanation: Among given options Central obesity is seen in Cushing's disease. CUSHING'S DISEASE: Form of Cushing's syndrome in which pituitary gland releases too much of ACTH Features of Cushing's syndrome: Moon facies Centripetal Obesity Proximal myopathy Violet/ purple Striae, Thin skin, Purpura Buffalo hump Weight gain / Lemon on sticks description | Peripheral resistance - HTN Insulin resistance - sugar FBS > 126 mg%; 2hr > 200 mg% Cortisol | - Activates ENaC - causes salt & water retention; Hypokalemic alkalosis Cortisol | - Activates Sex steroid receptors Female - Hirsutism, weight gain, oligomenorrhea, infertility Hyperpigmentation: (+-)